Tuberculous pleural effusion is characterized by all, except -
1. LDH > 60% of serum LDH
2. Hemorrhagic fluid
3. Increased mesothelial cells
4. Increased Deaminase

Correct answer: 3. Increased mesothelial cells